Breast feeding week is celebrated on?
1. 1st week of March
2. 1st week of July
3. 1st week of August
4. 1st December

Correct answer: 3. 1st week of August

Explanation: Breast feeding week is celebrated from August 1-7 Reference: www.worldbreastfeeding.org